Most common type of delusion is :
1. Delusion of reference
2. Paranoid delusion
3. Delusion of guilt
4. Delusion of persecution

Correct answer: 4. Delusion of persecution

Explanation: Delusion of persecution : Patient believes that someone is going to harm him, his family or his property.